Measles virus is
1. Paramyxovirus
2. Orthomyxovirus
3. Poxvirus
4. Picornavirus

Correct answer: 1. Paramyxovirus

Explanation: Measles (rubeola) is caused by an RNA virus belonging to the Paromyxovirus family. The virus is transmitted by droplet spread from the secretions of the nose and throat usually 4 days before and 5days after the rash. Virus multiplies in the respiratory epithelium. Reference: Essential pediatrics,op ghai,9 th edition, pg no:209